Not seen in faecal pollution -
1. Staphylococcus
2. Streptococcus
3. E. Coli
4. Clostridium perfringens

Correct answer: 1. Staphylococcus

Explanation: The primary bacterial indicators of contamination of water are the coliform group. Supplementary indicators include faecal streptococci and sulphite-reducing clostridia(C.perfringens) Park's Textbook of Preventive and Social Medicine, 25th edition, Page No. 780,781